Ghotna is:-
1. Heavy wooden log rolled on leg
2. Compressing the thighs with two roads
3. Tying the limps to the pole
4. Electric shock to genitalia

Correct answer: 1. Heavy wooden log rolled on leg

Explanation: Ghotna: Rolling a wooden log over the thighs up and down, while the log is weighed by one or two policemen standing on it Cattle prod: Electric shock especially over the genitals Sham execution: Victim is blind folded and asked to stand before a wall and then threatened that a vehicle is going to hit him. He hears the sound of a vehicle very near to him, causing fear and shock.